Which of the following is false about Hemolytic Anemias
1. Jaundice is the main clinical sign
2. Shortend red cell life span
3. Increased Recticulocyte count
4. Decreased erythropoietin levels

Correct answer: 4. Decreased erythropoietin levels

Explanation: Elevated erythropoietin leves are seen in Hemolytic anemias.